Phosphofructokinase-I is activated by all except:
1. 5'AMP
2. Fructose 2,6 Bisphosphate
3. Fructose 6 Phosphate
4. Citrate

Correct answer: 4. Citrate

Explanation: Ans. D. Citrate(Ref: Harper 31/e page 175 Table 19-1)EnzymeInducerRepressorActivatorInhibitorHexokinase Glucagon Glucose 6-phosphateGlucokinaseInsulinGlucagon Phosphofructokinase-1InsulinGlucagon5'AMP, fructose 6-phosphate, fructose 2,6-bisphosphate, Inorganic PhosphateCitrate, ATP, glucagonPyruvate kinaseInsulinGlucagonFructose 1,6-bisphosphate, insulinATP, Alanine, Glucagon, norepinephrine